Why GIC is the best restorative material in children?
1. High strength
2. Good marginal integrity
3. It can bond to both enamel & dentin
4. It has less occlusal wear

Correct answer: 3. It can bond to both enamel & dentin

Explanation: Glass ionomer cement bonds to the tooth structure by means of an ionic bond between the carboxyl group of polyacrylic acid (liquid) and calcium of the enamel and dentin.
Reference: Materials Used in Dentistry, S mahalaxmi first ed page no 12